Vertigo of vestibular origin, all except -
1. Ménière's disease
2. BPV
3. Vertebrobasilar insufficiency
4. Vestibular neuronitis

Correct answer: 3. Vertebrobasilar insufficiency